Sinus bradycardia with MI
1. Atropine
2. Digoxin
3. Calcium channel blocker
4. Propranolol

Correct answer: 1. Atropine